All of the following are signs of cerebellar disease except -
1. Resting tremors
2. Past pointing
3. Nystagmus
4. Ataxic gait

Correct answer: 1. Resting tremors